All are features of hepatocellular carcinoma, except:
1. Not common in Asian
2. Liver biopsy is diagnostic
3. Raised titre of HBV and HCV antibodies
4. Fibrolameller type is having good prognosis

Correct answer: 1. Not common in Asian

Explanation: Answer is A (Not common in Asians): Primary hepatocellular carcinoma is specially prevalent in regions of Asia and Sub-Saharan Africa. Primary hepatocellular carcinoma is specially prevalent in regions of Asia and Sub-Saharan Africa. The principal reason for high incidence of HCC in parts of Asia and Africa is the frequency of chronic infection with hepatitis B virus and hepatitis C virus. Raised titres of HBV and HBC markers are thus important etiological predictors. Percutaneous liver biopsy is diagnostic provided the sample is taken from an area localized by ultrasound or CT -Harrison Fibromellar variant grows slowly and is associated with a longer survival if treated - Harrison (It has thus a better prognosis)